Deterministic effects of radiation are those effects in which the severity of response
1. Is proportional to the dose
2. Is determined by the operator
3. Depends on composition of tissue
4. Depends on volume of exposed tissue

Correct answer: 1. Is proportional to the dose